35 year old female diagnosed to have hyper thyroid disorder. Her thyroid follicle lined by
1. Simple columnar
2. Simple squamous
3. Simple cuboidal
4. Ciliated columnar

Correct answer: 1. Simple columnar

Explanation: Normal thyroid follicle - simple cuboidal Hyper thyroid follicle - simple columnar Hypo thyroid follicle - simple cuboidal